All are seen in increased intracranial tension except:
1. Macular oedema
2. Papilloedema
3. Normal vision
4. Afferent pupillary defect

Correct answer: 4. Afferent pupillary defect

Explanation: Ans. Afferent pupillary defect